Health status of a child under 5 years of age will be adversely affected by all of the following except-
1. Malnutrition
2. Low birth weight
3. Maternal Hb of 11 gm%
4. Infections

Correct answer: 3. Maternal Hb of 11 gm%

Explanation: Maternal Hemoglobin does not have any direct effect on the health of a child under 5 years of age. A low maternal hemoglobin may indirectly affect 'child health by contributing to IUGR and/or low birth weight. A maternal hemoglobin of 11 is however not significant enough to have any direct or indirect effect on child health as the cut off point for diagnosis of maternal anemia in pregnancy is set at 11gm %.